In Bartter syndrome the defect lies in?
1. Distal convoluted tubule
2. Thick ascending limb of loop of Henle
3. Thin ascending limb of loop of Henle
4. Proximal convoluted tubule

Correct answer: 2. Thick ascending limb of loop of Henle

Explanation: Bartter Syndrome- defect in thick ascending limb of loop of Henle *Loss of function of (Na+ Cl- K+ co transporter) *Damage to ROMK & Cl- channel C/F: 1. Hypokalemia, salt wasting 2. Normal BP 3.Met. Alkalosis Dx: 24 hr. urine chloride : elevated *24 hr. urine Ca2+ : elevated DOC: indomethacin